GFR decreases with the following:
1. Hypoproteinemia
2. Hypotension
3. Hypertension
4. All of the above

Correct answer: 2. Hypotension

Explanation: Ans. B: Hypotension